Not true about breast milk is
1. Maximum output is at 12months of lactation
2. Coefficient of iron absorption is 70%
3. Calcium utilization is more than cows milk
4. Breast milk contains high amount of lactose

Correct answer: 1. Maximum output is at 12months of lactation

Explanation: Maximum milk output is seen at the age of 5-6 months Park 23e pg: 530